In dividing cells, spindle is formed by :
1. Ubiquitin
2. Tubulin
3. Laminin
4. Keratin

Correct answer: 2. Tubulin

Explanation: B i.e. Tubulin